Classical markers for Hodgkin's disease-
1. CD 15 and CD 30
2. CD 15 and CD 22
3. CD 15 and CD 20
4. CD 20 and CD 30

Correct answer: 1. CD 15 and CD 30

Explanation: Immunophenotyping of RS cells reveals monoclonal lymphoid cell origin of RS cell from B cells of the germinal centre in most subtypes of Hodgkin's disease. RS cells in all types of HD, except lymphocyte predominance type express immunoreactivity for CD15 and CD30.Therefore they ard considered as the classical markers for HD. REFERENCE; Harsh Mohan textbook of pathology,7th edition.Pg no.349